Consider the following in a newborn:1, Heart rate of 1102. Slow and Irregular respiratory effort3. Flaccid muscle tone4. No reflex irritability5. Blue colorWhat is the Apgar score in this case?
1. 1
2. 3
3. 5
4. 7

Correct answer: 2. 3

Explanation: For blue color point 0, for heart rate more than 110 points 2, for flaccid muscle tone point 0, for Slow and irregular respiratory movements point 1. For APGAR score, Refer page no 535 of Textbook of obstetrics, Sheila Balakrishnan, 2 nd edition.